The major contribution of amniotic fluid after 20 weeks of gestation :
1. Ultrafiltrate and maternal plasma
2. Fetal urine
3. Fetal lung fluid
4. Fetal skin

Correct answer: 2. Fetal urine

Explanation: Origin of amniotic fluid : Early week -Maternal plasma 2 nd trimester - Fetal skin Beyond 20 weeks -Fetal urine Ref: Datta Obs 9e pg 34.